Which of the following Corynebacterium toxin is similar to that of diphtheria toxin?
1. C. auris
2. C. jivelai
3. C. ulcerans
4. C.mimicum

Correct answer: 3. C. ulcerans

Explanation: Corynebacterium ulcerans:*Primarily an animal pathogen (bovine mastitis)*Can harbor diphtheria toxin gene but differences in the receptor binding and translocation domains*Exudative pharyngitis in humans indistinguishable from diphtheria*Several outbreaks of diphtheria have been found to be caused by C.ulcerans than C.diphtheriae and made it important epidemiologically*Spectrum of illness was similar to C.diphtheriaeToxin-producing Corynebacterium:1.C.diphtheriae2.C.ulcerans3.C.pseudotuberculosisRef: Ananthanarayan 9th edition, p242